Which of the following is IL-2 receptor inhibitor :
1. Basiliximab
2. Daclizumab
3. Both 1 & 2
4. None of the above

Correct answer: 3. Both 1 & 2

Explanation: Both Basiliximab & Daclizumab are monoclonal antibodies against IL-2 receptor.